A glomerulus-like structure composed of central blood vessel enveloped by germ cells within a space lined by germ cells is seen in -
1. Sertoli-Leydig cell tumor
2. Granulosa cell tumor
3. Endodermal sinus tumor
4. Sex cord tumor with annular tubules

Correct answer: 3. Endodermal sinus tumor

Explanation: Characteristics given in the question is of Schiller Duval bodies.
Schiller Duval body are structures that resemble endodermal sinuses which consist of a mesodermal core with a central capillary and a visceral and parietal layer of cells resembling primitive glomeruli.
Schiller Duval bodies are characteristics of endodermal sinus tumor (yolk sac tumor).